Post term labor is seen in :
1. Hydramnios
2. PID
3. Anencephaly
4. Multiple pregnancy

Correct answer: 3. Anencephaly

Explanation: Anencephaly